A 3 yr old child was brought to ER with complaints of hematuria after accidental ingestion of napthalene balls, this indicates:
1. Purpura
2. Black water fever
3. G6PD deficiency
4. Heriditary spherocytosis

Correct answer: 3. G6PD deficiency

Explanation: Napthalene poisoning, toxic effect is attibuted to the hemolytic activity of its toxic metabolites alpha naptho. Individuals with G6PD deficiency are more susceptible for napthalene toxicity. Commonest presentation of toxicity is acute hemolytic anemia. Ref: Principles of Pediatric and Neonatal Emergencies, By Panna Choudhury, Arvind Bagga, Krishan Chugh, Siddhah Ramji, 3rd Edition, Page 500.